Which of the following anticancer drugs can cross blood brain barrier?
1. Cisplatin
2. Nitrosourea
3. Vincristine
4. Vinblastine

Correct answer: 2. Nitrosourea

Explanation: Ans. (B) Nitrosourea(Ref: KDT 8th/e p919)Nitrosoureas like carmustine, lomustine and semustine can cross blood brain barrier and thus are used for treatment of gliomas.